For which glycogen storage disease (GSD), enzyme Replacement Therapy (E) is available?
1. GSD type I
2. GSD type II
3. GSD type III
4. GSD type IV

Correct answer: 2. GSD type II

Explanation: Enzyme Replacement Therapy (E) is available for diseases like:- Gaucher disease Pompe disease Hurler disease & Fabry disease.